International prognostic index for lymphomas includes the following prognostic factors, except -
1. Stage of disease
2. Number of extralymphatic sites involved
3. LDH
4. Hemoglobin and albumin

Correct answer: 4. Hemoglobin and albumin

Explanation: The prognosis of patients with NHL is best assigned using the International Prognostic Index (IPI) .
This is a powerful predictor of outcome in all subtypes of NHL.
Patients are assigned on IPI score based on the presence or absence of five adverse prognostic factors:-


Age > 60 years
Elevated serum LDH
Performance status 2 (ECOG) or ≤ 70 ( Karnofsky)
> 1 site of extranodal (extra lymphatic ) involvement
Ann Arbor Stage III or IV